Which amongst the following biological agents carries the least potential for use as a biological weapon for microbial terrorism?
1. Plague (Yersinia pestis)
2. Small pox (variola major)
3. Botulism (Cl. botulinum)
4. Brucellosis (Brucella sp)

Correct answer: 4. Brucellosis (Brucella sp)

Explanation: Brucellosis (Brucella sp.) is classified as 'Category B' agent with second highest priority/potential for use as a biological weapon for microbial terrorism.


Plague, smallpox and Botulism belong to 'Category A' as defined by CDC with the highest potential for use as biological weapons.